Chronic subdural haematonia is caused by
1. Fracture skull bones
2. Hypertension
3. Rupture of bridging veins
4. Subarachnoid haemorrhage

Correct answer: 3. Rupture of bridging veins

Explanation: (C) Rupture of bridging veins # Subdural hematoma also known as a subdural haemorrhage (SDH), is a type of hematoma, usually associated with traumatic brain injury.> Blood gathers between the inner layer of the dura mater and the arachnoid mater.> Usually resulting from tears in bridging veins which cross the subdural space, subdural hemorrhages may cause an increase in intracranial pressure (ICP), which can cause compression of and damage to delicate brain tissue.> Subdural hematomas are often life-threatening when acute.> Chronic subdural hematomas, however, have a better prognosis if properly managed.> A remarkable macroscopic characteristic of an organized subdural hematoma is that the lesion is firmly attached by fibrous tissue only to the inner surface of the dura and is not at all adherent to the underlying smooth arachnoid, which does not contribute to its formation.> Lesion can eventually retract as the granulation tissue matures.> Lesions that evolve to this stage of healing are referred to as chronic subdural hematomas.> A common finding in subdural hematomas, however, is the occurrence of multiple episodes of re-bleeding, presumably from the thin-walled vessels of the granulation tissue.